Where are the Odour receptors located?
1. Neurons of olfactory epithelium
2. Olfactory tract
3. Amygdala
4. Olfactory bulbs

Correct answer: 1. Neurons of olfactory epithelium

Explanation: Odour receptors cells are located in the mucosa high up in the nose (olfactory epithelium). The central processes of the olfactory receptor cells form the olfactory nerve. Olfactory nerves cross cribriform plate and end on the mitral cells of olfactory bulbs. The axons of mitral cells form the olfactory tract and they end upon pre piriform cortex and amygdale.